What is the most common cause for Budd chiary syndrome -
1. Right ventricular failure
2. PNH
3. Valve in hepatic veins
4. Polycythemia vera

Correct answer: 4. Polycythemia vera